Which is the most abundant Glucose transporter in RBC?
1. GLUT-1
2. GLUT-3
3. GLUT-4
4. GLUT-5

Correct answer: 1. GLUT-1

Explanation: GLUT-1 is the most abundant Glucose transporter in RBC.